Nerve involved in fracture surgical neck humerus is which of the following?
1. Axillary nerve
2. Ulnar nerve
3. Musculocutaneous nerve
4. Radial nerve

Correct answer: 1. Axillary nerve

Explanation: Ans. a (Axillary nerve). (Ref. Maheshwari, Orthopaedics, 2nd ed., 75)Axillary nerve may be damaged by dislocation of the shoulder or by the fracture of surgical neck of humerus causing:# Deltoid is paralysed with loss of power of abduction at shoulder.# The rounded contour of shoulder is lost & greater tubercle of humerus becomes prominent.# There is sensory loss over, the lower half of deltoid.Also remember:Posterior interosseous nerve (PIN) passes around the radial neck and supplies the extensor compartment. PIN supplies all extensors except brachioradialis, ECRB, ECRL. PIN injury may occur after management of radial head fractures.